Increased acidosis and hypoxaemia is associated with :
1. Normal Doppler wave form
2. Increased fetal diastolic flow in the middle cerebral artery with absent diastolic flow in the aorta
3. Presence of the notch' in the uterine artery
4. absent umbilical artery

Correct answer: 2. Increased fetal diastolic flow in the middle cerebral artery with absent diastolic flow in the aorta

Explanation: MIDDLE CEREBRAL ARTERY DOPPLER Normally,middle cerebral vessels have a very little diastolic flow and hence an increased resistance .A brain sparing effect is seen in IUGR with a reduction in the resistance indices in the middle cerebral vessels due to shunting of blood to brain in IUGR.This occurs after umbilical artery flow becomes abnormal and is called cephalisation of flow.Once the middle cerebral artery flow is abnormal the fetal outcome is worse and is indication for delivery.In fetal anemia due to Rh isoimmunisation the peak systolic velocity in the middle cerebral artery is increased. TEXTBOOK OF OBSTETRICS,SHEILA BALAKRISHNAN,Pg no:513,2nd edition